Feature of cortical blindness is
1. Absent direct and intact consensual reflex
2. Absent consensual but positive direct reflex
3. Absent direct and consensual reflex
4. Normal direct and consensual reflex

Correct answer: 4. Normal direct and consensual reflex

Explanation: D i.e. Normal direct and consensual reflex